The internalization,  representation of the values and morals of the society as taught to a child by the parents is represented by:
1. Superego
2. Ego
3. Id
4. None

Correct answer: 1. Superego

Explanation: Theory of Sigmund Freud consists of 3 parts namely Id, Ego, Superego.
Super Ego: It is the prohibition learned from environment (more from parents and authorities). It acts as a censor of acceptability of thoughts, feelings and behavior. It is determined by regulations imposed upon the child by parents society, and culture (ethics & morals). It is the internalized control which produces the feeling of shame and guilt.
Shobha Tandon 2nd Ed P:122